Aseptate hyphae is not seen in
1. Rhizopus
2. Mucor
3. Aspergillus
4. None

Correct answer: 3. Aspergillus

Explanation: Aspergillus shows septate hyphae. Reference: Textbook of Microbiology; Baveja; 4th edition